Not true about right ventricle-
1. Wall thickness is 10-12 mm
2. On cross section crescent in shape
3. It forms anterior surface of heart
4. Rests on central tendon of diaphragm

Correct answer: 1. Wall thickness is 10-12 mm

Explanation: Ans. is 'a' i.e., Wall thickness is 10-12 mm o Right ventricle is most anteriorly situated cardiac chamber, located immediately behind sternum,o It forms inferior border of heart and anterior (sternocostal) surface of heart,o Right ventricle is more triangular in shape. In cross section the cavity appears like a crescent,o Wall thickness of right ventricle is 3-5 mm.o Inferior surface of heart is formed by left ventricle (2/3) and right ventricle (1/3). This surface rests on diaphragm.